Orientia Tsutsugamushi causes:
1. Epidemic typhus
2. Endemic typhus
3. Scrub typhus
4. Q fever

Correct answer: 3. Scrub typhus

Explanation: Disease Causative organism Vector Epidemic typhus R. prowazekii Louse Endemic typhus R.typhi Flea Scrub typhus Orientia Tsutsugamushi Mite Q fever Coxiella No arthropod transmission